Tennis Racquet cells
1. Rhabdomyoma
2. Rhabdomyosarcoma
3. Histiocytoma
4. Eosinophilic granuloma

Correct answer: 2. Rhabdomyosarcoma

Explanation: Rhabdomyosarcoma An adjectival description for a relatively elongated cell, lesion, structure or radiological density that is globose at one end and elongated at the other, alike to the device used in game of tennis. Tennis racquet cell: A tennis-racquet-shaped variant of rhabdomyoblast seen in sarcoma botryoides, a form of rhabdomyosarcoma affecting children. The key cell to recognize by routine microscopy is the rhabdomyoblast, a cell with an eccentric round nucleus and variable amounts of brightly eosinophilic cytoplasm. 'Tennis racquet' appearance: A descriptive term for the ping-pong paddle-like thickening of the mesangium in glomeruli affected by Kimmelstiel Wilson disease. Tennis racquet granule: Birbeck granule; Langerhans' granule. A subcellular particle with a pentilaminar 'handle' and bulbous terminal dilation of uncertain significance that is seen by electron microscopy in the antigen-presenting Langerhans cell and in histiocytes. 'Tennis racquet sign (radiology): The description for a finding in a 'blighted ovum' in which the ultrasonically empty gestational sac is compressed (the racquet's 'handle') and adjacent to a surrounding decidual reaction (the 'paddle'); aka Tadpole sign. 'Tennis racquet' spore (microbiology): A descriptive term for the morphology of the subterminal spores in the gram positive Clostridium tetani, as well as in C. diphtheriae.